True about Secretin includes all of the following Except:-
1. It increases the acidity of biliary and pancreatic secretions
2. It decreases gastric acid secretion
3. It decreases gastrin secretion and gastric emptying
4. It increases flow and velocity of bile

Correct answer: 1. It increases the acidity of biliary and pancreatic secretions

Explanation: Secretin: - Stimuli for secretion Site for secretion Action Acid, fat S cell of duodenum, jejunum, ileum Stimulates: - Pepsin secretion Pancreatic bicarbonate secretion Biliary bicarbonate secretion Growth of exocrine pancreas Inhibits: Gastric acid secretion.